Band and shaped trophozoites are seen in -
1. P. ovale
2. P. vivax
3. P. falciparum
4. P. Malariae

Correct answer: 4. P. Malariae